Chain initiation in protein synthesis is by
1. AUG
2. GLA
3. UGA
4. UAG

Correct answer: 1. AUG

Explanation: Initiation codon AUG codes for methionine.